Which of the follow ing is cause of RBBB ?
1. It can occur in a normal person
2. Pulmonary embolism
3. Corpulmonale
4. All of the above

Correct answer: 4. All of the above

Explanation: Ans. is 4d' i.e.. All of the above Causes of RBBBNormal physiologicalPulmonary embolism/corpulmonalePulmonary artery hypertensionASDRheumatic heart disease